Botulism is a disease of -
1. Neural transmission caused by the toxin of the bacterium Clostridium botulinum
2. Muscular transmission caused by the toxin of the bacterium Clostridium botulinum
3. Neuromuscular transmission caused by the toxin of the bacterium Clostridium botulinum
4. Non neuromuscular transmission caused by the toxin of the bacterium Clostridium botulinum

Correct answer: 3. Neuromuscular transmission caused by the toxin of the bacterium Clostridium botulinum

Explanation: Ans. is 'c' i.e., Neuromuscular transmission caused by the toxin of the bacterium Clostridium botulinumBotulinum Toxino CL botulinum produces a powerful exotoxin that is responsible for its pathogenicity.o The toxin differs from other exotoxins in that it is not released during the life of organism. It is produced intracellularly and appears in the medium only on the death and autolysis of the cell.o It is the most toxic substance known,o Toxin is heat labile, but spores are highly heat resistant.o It acts by blocking the release of acetylcholine at synapses and neuromuscular junction. It acts presynaptically.o Toxin of all types (A, B, C, D, E, F, G) are neurotoxin except C, which is a cytotoxin (enterotoxin).